Setting expansion is advantageous in:
1. Casts
2. Models
3. Investment
4. Dies

Correct answer: 3. Investment